Probe used in western blot:
1. Antibody
2. M-RNA
3. DNA
4. t-RNA

Correct answer: 1. Antibody

Explanation: A i.e. Antibody Western blot (immuno blot) analyses protein by antibody labeled probeQ. Northern blot analyses m-RNA by a radioactive probe and southern blot analysis DNA by radioactive probe.